Transverse mesocolon contains which of the following vessels
1. Right colic artery
2. Left colic artery
3. Middle colic artery
4. Iliocolic artery

Correct answer: 3. Middle colic artery

Explanation: The transverse mesocolon is a broad, meso-fold of peritoneum, which connects the transverse colon to the posterior wall of the abdomen. It is continuous with the two posterior layers of the greater omentum, which, after separating to surround the transverse colon, join behind it, and are continued backward to the vertebral column, where they diverge in front of the anterior border of the pancreas. Transverse mesocolon contains middle colic vessels and their branches Ref - BDC 6e vol2 pg 237